Prolonged pregnancy is the one that exceeds
1. 390/7
2. 400/7
3. 410/7
4. 420/7

Correct answer: 4. 420/7

Explanation: The international definition of prolonged pregnancy, endorsed by the American College of Obstetricians and Gynecologists (2016b,d) is one that exceeds 420/7 weeks, namely, 294 days or more from the first day of the last menstrual period.Reference: William's Obstetrics; 25th edition; Chapter 43; Postterm pregnancy